Cushing's disease presents with-
1. IncreasedACTH and increased Cortisol
2. Decreased ACTH and decreased Cortisol
3. IncreasedACTH and decreased Cortisol
4. Increased catecholamines

Correct answer: 1. IncreasedACTH and increased Cortisol

Explanation: increased production of cortisol by adrenals and bilateral adrenal hyperplasia due to hyper secretion of pituitary ACTH( Harrison 17 pg 2255)